Human Development Index includes all of the following except:
1. Infant mortality
2. Income
3. literacy rate
4. Life expectancy at birth

Correct answer: 1. Infant mortality

Explanation: Ans. A: Infant mortality The Human Development Index (HDI) is a composite statistic used to rank countries by level of "human development" and separate developed (high development), developing (middle development), and underdeveloped (low development) countries. The statistic is composed from data on Life Expectancy, Education and per-capita GDP (as an indicator of Standard of living) collected at the national level The HDI combines three dimensions: Life expectancy at birth, as an index of population health and longevity Knowledge and education, as measured by the adult literacy rate (with two-thirds weighting) and the combined primary, secondary, and tertiary gross enrollment ratio (with one-third weighting). Standard of living, as indicated by the natural logarithm of gross domestic product per capita at purchasing power parity.